Sex reassignment surgery is done in ?
1. Gender identity disorder
2. Premature ejaculation
3. Erectile dysfunction
4. Orgasmic dysfunction

Correct answer: 1. Gender identity disorder

Explanation: Ans. A. Gender identity disorderMany persons with gender identity disorder have sought sex-reassignment surgery, that is, physical change that is constant with their cross sexual identity.